Hypertrophic scar is characterized by the following, except
1. It is non familial
2. It outgrows the wound area
3. It involves the flexor surface
4. It is not related to the race

Correct answer: 2. It outgrows the wound area

Explanation: A hypertrophic scar is defined as excessive scar tissue that does not extend beyond the boundary of the original incision or wound. It results from a prolonged inflammatory phase of wound healing and from unfavourable scar siting (i.e. across the lines of skin tension).. A keloid scar is defined as excessive scar tissue that extends beyond the boundaries of the original incision or wound Keloids have familial and racial tendencies. Bailey and love 26th edition Pg 30